Muscular rigidity caused by opioids is due to the agonistic effect on which receptor ?
1. Mu
2. Kappa
3. Delta
4. Sigma

Correct answer: 1. Mu